Most common carcinoma of breast is
1. Ductal carcinoma
2. Mucinous carcinoma
3. Lobular carcinoma
4. Neuroendocrine carcinoma

Correct answer: 1. Ductal carcinoma

Explanation: Invasive Ductal Carcinoma (IDC) Invasive ductal carcinoma (IDC), sometimes called infiltrating ductal carcinoma, is the most common type of breast cancer. About 80% of all breast cancers are invasive ductal carcinomas. Invasive means that the cancer has "invaded" or spread to the surrounding breast tissues. Refer robbins 9/e 710,713